Rigor mortis first start in -
1. Upper eyelids
2. Lower eyelids
3. Lower limbs
4. Fingers

Correct answer: 1. Upper eyelids

Explanation: Among the given options, upper eyelid is involved first.